A patient is brought to the emergency room following a seizure. Electrolytes show SIADH. CT Scan demonstrates a lung mass. Which of the following forms of lung cancer is most likely to cause the described electrolyte imbalance?
1. Adenocarcinoma
2. Bronchioalveolar carcinoma
3. Large cell carcinoma
4. Small cell carcinoma

Correct answer: 4. Small cell carcinoma

Explanation: Small cell carcinoma